A 25 yr old male is found unconscious . In the ER , ABG is performed and reveals :pH - 7.25, PCO2- 60, PO2- 65 and HCO3 -26. What is the diagnosis?
1. Respiratory acidosis uncompensated
2. Respiratory alkalosis compensated
3. Metabolic acidosis uncompensated
4. Metabolic alkalosis compensated

Correct answer: 1. Respiratory acidosis uncompensated

Explanation: - pH. 7.25 (acidosis) , PCO2 - 60 (raised ) , HCO3- 26 (normal) - Respiratory acidosis HCO3 is Normal so respiratory acidosis uncompensated